The mechanism by which mercury causes damage ?
1. Binds to -SH group of enzyme
2. Directly toxic
3. Inhibits ETC
4. Inhibits protein synthesis

Correct answer: 1. Binds to -SH group of enzyme

Explanation: Ans. is 'a' i.e., Binds to -SH group of enzyme Heavy metal toxicity is caused by tight binding of a metal such as mercury (Hg), lead (Pb), aluminium (Al), or iron (Fe) to a functional group of enzyme. Mercury, for example, binds to reactive sulfhydryl groups (-SH) in the active site of so many enzymes, that it has been difficult to determine which of the inhibited enzyme is responsible for mercury toxicity. Lead also has high affinity for sulfhydryl group.